Which of the following increases rennin release?
1. Parasympathetic stimulation
2. Renal hypertension
3. Renal hyperperfusion
4. Decreased Nacl in macula densa

Correct answer: 4. Decreased Nacl in macula densa

Explanation: Factor which increase rennin release :

Renal hypoperfusion and hypotension
Symphathetic stimulation
Renal ischaemia
Decreased Nacl in macula densa